Transverse diameter of the female mid-pelvic plane is:
1. 9.5
2. 10.5
3. 11.5
4. 12.5

Correct answer: 2. 10.5

Explanation: Ans. B: 10.5 Transverse diameter of the mid-pelvis/ bispinous (10.5): It measures between the 2 ischial spines Diameters: Shortest diameter of pelvic inlet: Obstetrical conjugate 2nd Shortest diameter of fetal skull: Bitemporal 2nd Largest diameter of fetal skull: Submentovertical